Atrial Natriuretic Peptide receptors belong to which of the following type of receptors:
1. G-protein coupled receptors
2. Ligand-gated guanylyl cyclase receptor
3. Tyrosine kinase receptors
4. JAK-STAT receptors

Correct answer: 2. Ligand-gated guanylyl cyclase receptor

Explanation: Natriuretic peptides Natriuretic peptide receptors are Transmembrane ligand-gated guanylyl cyclase receptors. ANP and BNP are selective agonist for A-type natriuretic receptor (NPR-A). CNP is selective agonist for B-type natriuretic receptor (NPR-B). The NPR-C has an extracellular domain similar to those of NPR-A and NPR-B but does not contain the guanylyl cyclase domain.